After tonsillectomy, secondary hemorrhage occurs-
1. Within 24 hours
2. After 2 weeks
3. 5-10 post operative days
4. After 1 month

Correct answer: 3. 5-10 post operative days

Explanation: Delayed complications

Secondary hemorrhage : Usually seen between the 5th to 10th postoperative day. It is the result of sepsis and premature separation of the membrane. Usually, it is heralded by bloodstained sputum but may be profuse.
Infection : Infection of tonsillar fossa may lead to parapharyngeal abscess or otitis media.
Lung complications : Aspiration of blood, mucus or tissue fragments may cause atelectasis or lung abscess.
Scarring in soft palate and pillars.
Tonsillar remnants : Tonsil tags or tissue, left due to inadequate surgery, may get repeatedly infected.
Hypertrophy of lingual tonsil : This is a late complication and is compensatory to loss of palatine tonsils.